A newborn with congenital heart failure, which is not responding to treatment, has bulging anterior fontanelles with a bruit on auscultation. On trans fontanelle USG a hypoechoic midline mass is seen with dilated lateral ventricles. Most probable diagnosis is:
1. Vein of Galen malformation
2. Arachnoid cyst
3. Medulloblastoma
4. Encephalocele

Correct answer: 1. Vein of Galen malformation

Explanation: A neonate with fulminant CHF, bulging anterior fontanelles with USG showing hypoechoeic midline mass is with dilated lateral ventricles suggests a diagnosis of Vein of Galen Malformation. Ref: Pediatric Brain And Spine: An Atlas Of MRI And Spectroscopy, Springer, 2005 - Pg 332, 333, 334; Neurosurgery Case Review: Questions and Answers, Thieme, 02-Dec-2009 - Pg 66, 67; Pediatric Neurovascular Disease: Surgical, Endovascular, and Medical Management, Thieme, 17-Oct-2005 - Pg 116, 117; Volpe's neurology of newborn 3rd/802.